Occlusal radiograph can locate:
1. Supernumerary teeth
2. Impacted teeth
3. Stones in salivary duct
4. All of the above

Correct answer: 4. All of the above

Explanation: Typically, the occlusal radiograph is especially useful in the following cases:

To locate precisely roots and supernumerary, unerupted, and impacted teeth (this technique is especially useful for impacted canines and third molars).
To localize foreign bodies in the jaws and stones in the ducts of sublingual and submandibular glands.
To demonstrate and evaluate the integrity of the anterior, medial, and lateral outlines of the maxillary sinus.

Ref: ORAL RADIOLOGY Principles and Interpretation,Stuart C. White,Michael J. Pharoah Edition 7 page no 126